Which of the following ICU sedation drug causes neuroleptic malignant syndrome:
1. Midazolam
2. Lorazepam
3. Diazepam
4. Haloperidol

Correct answer: 4. Haloperidol

Explanation: (Ref: KDT, 8th ed. pg. 471)Haloperidol is from typical antipsychotic class that is commonly associated with extrapyramidal symptoms like neuroleptic malignant syndrome.